In early gastric carcinoma malignancy is confined to:
1. Mucosa
2. Mucosa and submucosa
3. Gastric wall without lymph node metastasis
4. Gastric glands

Correct answer: 2. Mucosa and submucosa

Explanation: Early gastric cancer: Tumor confined to mucosa and submucosa Late gastric cancer: Tumor penetrating into muscle layer and may even extend into serosa